In fracture of penis involving rupture of tunica albuginea with intact Buch's fascia following would be noted clinically
1. Hematoma involving only the shaft of penis
2. Hematoma involving scrotum & perineal region
3. Penis, scrotum and abdominal wall
4. Penis, scrotum & thighs

Correct answer: 1. Hematoma involving only the shaft of penis

Explanation: The diagnosis of "penile fracture" describes the traumatic rupture of the tunica albuginea of an erect penis. Penile fractures typically occur when the engorged penile corpora are forced to buckle and literally "pop" under the pressure of a blunt sexual trauma. Ref - sciencedirect.com